Flexion of metacarpophalangeal joint is produced by all except
1. Lumbricals
2. Dorsal interossei
3. Palmar interossei
4. Extensor pollicus longus

Correct answer: 4. Extensor pollicus longus

Explanation: Flexion of metacarpophalangeal joint is by lumbricals and both palmar and dorsal interossei. Abduction is by the action of dorsal interossei. Adduction is by the actions of palmar interossei . B D Chaurasia 7th edition Page no: 163